All are true regarding Zollinger Ellison syndrome, except-
1. Diarrhoea
2. Recurrence after operation
3. Hypergastrinemia
4. Decreased ratio of BAO to MAO

Correct answer: 4. Decreased ratio of BAO to MAO